Anti-ds DNA is most specific for -
1. SLE
2. Rheumatoid Arthritis
3. Polymyositis
4. Sjogrens syndrome

Correct answer: 1. SLE